Renal threshold for glucose is:
1. 80 mg%
2. 100 mg%
3. 180 mg/dl
4. 200 mg%

Correct answer: 3. 180 mg/dl